An ABG analysis shows, pH 7.2, raised pCO2 decreased HCO3– diagnosis is -
1. Respiratory acidosis
2. Compensated metabolic acidosis
3. Respiratory and metabolic acidosis
4. Respiratory alkalosis

Correct answer: 3. Respiratory and metabolic acidosis

Explanation: Information provided in the question
pH → decreased (N → 7.4)
PCO2 → Increased.
HCO3- → Decreased
First step

Decreased pH indicates acidosis

Second step

Inspect the HCO3- /CO2 to determine the cause of acidosis.
Both the abnormalities are in sync with the change in pH.
This suggests that compensatory response has not occurred.
This suggests that there must be some other abnormality besides the primary abnormality, which does not allow the compensatory response.
This is a case of mixed acid-base disorder where both respiratory and metabolic acidosis coexists together.
This can also be confirmed by looking at the /CO2 ratio which moves in the opposite direction